Which bone tumor appears in epiphysis?
1. Osteoclastoma
2. Ewing's sarcoma
3. Chondromyxoid fibroma
4. Osteosarcoma

Correct answer: 1. Osteoclastoma

Explanation: Osteoclastoma a.k.a Giant cell tumor Occurs at the epiphysis Tumors occurring at epiphysis: Chondroblastoma Osteoclastoma Metaphysis: Osteosarcoma Enchondroma Chondrosarcoma Simple bone cyst Aneurysmal bone cyst Diaphysis (LEMON) Lymphoma Ewing's sarcoma Multiple myeloma Osteoid osteoma Admantinoma Ref: Maheshwari 9ED pg 250.